Extra caloric requirement in pregnancy is:-
1. +150 Kcal/day
2. +350 Kcal/day
3. +520 Kcal/day
4. +600 Kcal/day

Correct answer: 2. +350 Kcal/day

Explanation: Additional energy requirements:- Pregnancy +350 Kcal/day. Lactation (0-6months) + 600 Kcal/day. Lactation(6-12 mths) +520 kcal/day.